Leprosy commonly spreads by:
1. Milk
2. Droplet
3. Water
4. Mosquitoes

Correct answer: 2. Droplet

Explanation: Droplet